All are true about SLE in pregnancy except?
1. Increased anti Ro and La implies low risk for congenital heart block
2. Steroids can be continued in pregnancy
3. Recurrent abortions
4. Disease may worsen during pregnancy

Correct answer: 1. Increased anti Ro and La implies low risk for congenital heart block

Explanation: Increased anti Ro and La implies high risk of congenital heart block. Anti Ro antibody can be transmitted transplacentally and can lead to complete heart block leading to neonatal lupus. Steroids can be given in pregnancy as they fall in category A with no evidence of teratogenicity. But a placental enzyme 11 dehydrogenase deactivates glucocorticoids. Presence of anti-cardiolipin antibody and anti beta 2 glycoprotein antibody can lead to uterine artery or venous thrombosis leading to recurrent abortions. Most women can tolerate pregnancy without flare but it can worsen in some requiring aggressive treatment. All autoimmune diseases can worsen in pregnancy except rheumatoid arthritis.